Acid fastness of tubercle bacilli is attributed to -
1. Presence of mycolic acid
2. Integrity of cell wall
3. Both of the above
4. None of the above

Correct answer: 3. Both of the above